Prolong administration of Sodium nitroprusside can cause which poisoning?
1. Cyanide
2. Methanol
3. Arsenic
4. Phenol

Correct answer: 1. Cyanide

Explanation: ANSWER: (A) CyanideREF: Cardiac anesthesia: principles and clinical practice Lippincott 2nd edition - Page 91Cyanide poisoning can occur in rapid or excessive administration of sodium nitroprusside. Guidelines for safe administration of sodium nitroprusside has been established to prevent the risk of cyanide toxicityMaximum dose of sodium nitroprusside:Maximum acute doseMaximum chronic dose1.5 mg/kg for 1-3 hours0.5 mg/kg/hr